Failure rate of contraceptive method is determined by ?
1. Pearl index
2. Half life
3. Number of accidental pregnancies
4. Period of contraceptive practice continued

Correct answer: 1. Pearl index

Explanation: Ans. is 'a' i.e., Pearl index